The deficit in weight for height in a 3-year-old child indicates ____________
1. Acute malnutrition
2. Chronic malnutrition
3. Concomitant acute and chronic
4. Under weight

Correct answer: 1. Acute malnutrition

Explanation: Low weight for height is wasting, which suggests acute malnutrition, the result of more recent food deficit or illness. Reference: GHAI Essential pediatrics, 8th edition Nutr